Cobble stone appearance is seen in -
1. Ulcerative colitis
2. Crohn's disease
3. Appendicitis
4. Carcinoma rectum

Correct answer: 2. Crohn's disease